All of the following are true about excitation-contraction coupling in skeletal muscle except that
1. Acetylcholine is released at the nerve terminal
2. Ca2+ is released from sarcoplasmic reticulum during contraction
3. Ca2+ is pumped back into sarcoplasmic reticulum during relaxation
4. Ca2+ binds to tropomyosin to initiate muscle contraction

Correct answer: 4. Ca2+ binds to tropomyosin to initiate muscle contraction

Explanation: Ca2+ binds to troponin C (not Tropomyosin) to initiate muscle contraction. Ref: Ganong's Review of Medical Physiology 26th edition Pgno: 105